Middle ear cavity is connected anteriorly to:
1. Nasal cavity
2. Nasopharynx
3. Mastoid antrum
4. Mastoid air cells

Correct answer: 2. Nasopharynx

Explanation: Ans: B (Nasopharynx) Ref: Grays Anatomy 40th EdExplanation:Middle ear cavityAnterior wall - Upper canal for tensor tympan muscle & lower canal for auditory tube which communicates to the nasopharynxPosterior wall communicates the mastoid antrum through aditusLateral wall seperates the middle ear from external earMedial wall separates the middle ear from internal ear